Bacillus anthracis is unique to other bacteria. It is the only bacteria to possess which of the following
1. A polypeptide capsule
2. A polysaccharide capsule
3. An exotoxin
4. An endotoxin

Correct answer: 1. A polypeptide capsule

Explanation: Virulent forms of B. anthracis, the causative agent of anthrax, are more likely to be surrounded by a capsule. This capsule is a polypeptide, composed of a polymer of glutamic acid, and is a unique feature of B. anthracis. Lipopolysaccharides (LPS/endotoxin) are unique to gram-negative bacteria (B. anthracis is a gram-positive rod). In addition, whereas B. anthracis is associated with both teichoic acid (cell wall) and a potent exotoxin, these are not unique features of this bacterium. Other gram-positives (i.e., staphylococci) release exotoxins and have teichoic acid in their cell walls.